Most common site of Hydatid cyst in human body is:-
1. Spleen
2. Right postero-superior lobe of liver
3. Right antero-inferior lobe of liver
4. Left lobe of liver

Correct answer: 2. Right postero-superior lobe of liver

Explanation: Hydatid disease: Caused by infection with a small tapeworm parasite called Echinococcus granulosus. Most common site of hydatid cyst in human body is Right postero-superior lobe of liver. In hydatid disease, 70% of cysts are located in right lobe of liver. Rest are located in lungs, brain, peritoneum, long bones and kidney.